What are the buidling blocks for mostly lipids?
1. Carbohydrates
2. Proteins
3. Fatty acid
4. None

Correct answer: 3. Fatty acid

Explanation: The building blocks of most lipids are fatty acid.